Which of the following is a Longer acting Erythropoietin derivative?
1. Sargramostim
2. Darbepoetin alfa
3. Dornase alfa
4. Oprelvekin

Correct answer: 2. Darbepoetin alfa

Explanation: Darbopoietin is a Long acting EPO derivative drug. It has a T1/2 24-36 hrs. So it is given once a week. Epoietin has a half life of 6-10 hrs. Uses - Anemia of chronic renal failure(CRF) Anaemia in AIDS patients treated with Zidovudine. Cancer chemotherapy induced anaemia. Preoperative increased blood production for Autologous transfusion during surgery. Oprelvekin is recombinant Interleukin-11 analogue (eleven) Sargramostim is recombinant GM-CSF analogue